Abnormalities of copper metabolism are implicated in the pathogenesis of all the following except –
1. Wilson's disease
2. Monke's Kinky–hair syndrome
3. Indian childhood cirrhosis
4. Keshan disease

Correct answer: 4. Keshan disease

Explanation: Keshan disease is a disorder of selenium metabolism.
Following diseases are related to copper metabolism :-


Wilson's disease
Menkes kinky hair syndrome
Indian childhood cirrhosis (increased hepatic, urinary and serum copper concentration are characteristic of ICC).